In a suspected case of legionnaires disease, medium used for culture is:
1. Buffered charcoal yeast extract agar
2. Thayer Main
3. Chocolate agar
4. Bordet Gengou

Correct answer: 1. Buffered charcoal yeast extract agar

Explanation: Definitive method for diagnosis of Legionella infection is isolation of the organism. Buffered charcoal yeast extract agar (BCVE) supplemented with antibiotics and dye is the most sensitive medium for Legionella.